Somatostatin is produced by:
1. A cell
2. B cell
3. D cell
4. F cell

Correct answer: 3. D cell

Explanation: Ans: c (D cell) Ref: Robbins, 7th ed, p. 1189Alpha cell-GlucagonsBeta cell-insulinD cell-somatostatinF cell-pancreatic polypeptideSomatostatinomaVIPomaMost common site - Head of pancreasOther names - Vemer Morrison syndrome. Water diarrhea syndrome, WDHA syndromeClinical features - Diabetes mellitus - Gall bladder diseasePancreatic cholera- DiarrhoeaMost common site - Tail of pancreas- SteatorrhoeaClinical features - Watery diarrhea - Hypokalaemia- Hypochlorhydria- Metabolic acidosis- Hypercalcaemia- hyperglycaemiaInsulinomaIt is an endocrine tumour of beta cells. Only 5-15% are malignant.Most common site of Insulinoma -distributed equally all over pancreasWhipple's triad1) Symptoms consistent with hypoglycaemia2) A low plasma glucose concentration3) Relief of symptoms after the plasma glucose level is raisedThese features are typically seen in insulinoma.